All of the following drugs may be used in the treatment of ulcerative colitis Except -
1. Corticosteroids
2. Azathioprine
3. Sulfasalazine
4. Methotrexate

Correct answer: 4. Methotrexate

Explanation: Ans. is 'd' i.e.. Methotrexate Methotrexate in ulcerative colitiso Methotrexate has not been shown to be effective for treating active ulcerative colitis or for maintaining remission.Methotrexate in crohn 's diseaseo Methotrexate has been shown to be effective for inducing remission in patients with steroid dependent and steroid refractory' crohn s disease.Asents that may be used for treatment of ulcerative colitis5-ASAGlucocorticoidsAzathioprine and 6 mercaptopurineCyclosporine or TNF alpha therapy (Infliximab).o Tacrolimus is a macro tide antibody that has shown to be effective in adults with steroid dependent or refractory' ulcerative colitis.Drugs used in crohn's diseaseCyclosporine or infliximab6-Mercaptopurine or azathioprineGlucocorticoid IVGlucocorticoid oralGlucocorticoid rectal5-.4S.4 rectal or oral